A 30 year old male came with pruritic papule over flexor aspect of right forearm which is purple in colour.There is also pterygium of nails. Diagnosis?
1. Alopecia areata
2. Psoriasis
3. Lichen planus
4. Pityriasis rosea

Correct answer: 3. Lichen planus

Explanation: Purple,pruritic lesion over flexor aspect & pterygium of nail is suggestive of Lichen planus.